Ototoxic drugs are all except
1. Kanamycin
2. Streptomycin
3. Gentamicin
4. Ampicillin

Correct answer: 4. Ampicillin

Explanation: Ampicillin is penicillin. Remaining 3 are aminoglycoside. Aminoglycosides are ototoxic.Other adverse effects of aminoglycosides are nephrotoxicity and NMB.ototocicity can be of auditory and vestibular most vestibulotocxic is sterptomycin followed by gentamycin and most auditory toxic is neomycin followed by amikacin Ref: KD Tripathi 8th ed.